Wich one of the following drugs does not produce central anticholinergic syndrome
1. Atropine sulphate
2. Glycopyrrolate
3. Antihistaminics
4. Tricyclic antidepressants

Correct answer: 2. Glycopyrrolate

Explanation: Ref: KD Tripathi pharmacology 7th edition (page.no: 111) Glycopyrrolate is a potent and rapidly acting antimuscarinic, lacking central effects. It is having a quaternary structure. so it doesn't cause the central anticholinergic syndrome. Atropine has both central and peripheral action. Tricyclic antidepressants, Antihistaminics have central anticholinergic effects